Lignocaine is useful for the treatment of:
1. Atrial fibrillation
2. Paroxysmal supraventricular tachycardia
3. Digitalis induced ventricular extrasystoles
4. All of the above

Correct answer: 3. Digitalis induced ventricular extrasystoles

Explanation: Lidocaine* It is used to suppress VT and prevent VF.* It is ineffective in atrial arrhythmias. DOC for Digitalis induced ventricular extrasystoles